A 35-year-old male with history of 4 weeks of immobilization for fracture femur developed sudden onset of chest pain and hemoptysis. ECG shows SI Q3 T3 pattern. Diagnosis?
1. Acute myocardial infract
2. COPD
3. Pulmonary embolism
4. Cor pulmonale

Correct answer: 3. Pulmonary embolism

Explanation: Ans. c. Pulmonary embolismPULMONARY EMBOLISMPulmonary embolism usually arises from a venous thrombosis in the pelvis or legs.Risk factors include any cause of immobility or hyper coagulability.Clinical sign and symptoms:DyspneaTachycardia and hypoxemia are prominent.Pain is usually pleuritic, especially when pulmonary infarction develops.ECG is usually nonspecific but may show S wave in lead I, Q wave in lead III, or inverted T wave in lead III.Diagnosis confirmed by CT angiogram.